Problem of bias is maximum with -
1. Cohort study
2. Case study
3. Case control study
4. Experimental study

Correct answer: 3. Case control study

Explanation: Ans. is 'c' i.e., Case control study